An Egyptian fisherman develops lower abdominal pain and pain on urination, and reports seeing blood in his urine. Which of the following parasites is the most likely cause of urinary symptoms in this patient?
1. Clonorchis sinensis
2. Diphyllobothrium latum
3. Fasciola hepatica
4. Schistosoma haematobium

Correct answer: 4. Schistosoma haematobium

Explanation: Schistosomiasis is the most important helminthic disease of humans. It is characterized by intense inflammatory and immunologic responses that damage the liver, intestine, and urinary bladder. In this case, the patient presents with urogenital schistosomiasis. S. haematobium causes urogenital infections and increases the risk for developing squamous cell carcinoma of the bladder. S. mansoni (choice E) affects the liver.Diagnosis: Schistosomiasis